In complete mullerian duct aplasia all of the following are likely to be absent except
1. Ovaries
2. Fallopian tubes
3. Uterus
4. Vagina

Correct answer: 1. Ovaries

Explanation: Development of female genital organs Develop from mullerian ducts and urogenital sinus The cranial free part of mullerian duct develop into fallopian tube The middle portions fuse to form the uterus and cervix Caudal portions fuse to form the upper third of the vagina Lower one third of vagina is formed from urogenital sinus Ovaries develop from genital ridge SHAW'S TEXTBOOK OF GYNAECOLOGY,Pg no:94,15th edition